A person after taking oath, wilfully telling false evidence is punishable under:
1. 191 IPC
2. 193 IPC
3. 197 IPC
4. 174 Cr PC

Correct answer: 2. 193 IPC

Explanation: Ans. (B). 193 IPC191 IPC- Definition of perjury193 IPC - Punishment of perjury (3-7 years)197 IPC - Punishment for issuing false medical certificates.174 Cr PC - Police inquest176 Cr PC - Magistrate inquest